A 40 year old woman presented with a 8 month history of erythema and swelling of the periorbital region & papules & plaques on the dorsolateral aspect of forearms & knuckles with ragged cuticles. There was no muscle weakness. The most likely diagnosis is:
1. SLE
2. Dermatomyositis
3. Systemic sclerosis
4. Mixed connective tissue disorder

Correct answer: 2. Dermatomyositis

Explanation: B i.e. Dermatomyositis